The posterior cord of the Brachial plexus contains all except:
1. Long thoracic nerve of Bell
2. Axillary
3. Radial
4. Upper subscapular

Correct answer: 1. Long thoracic nerve of Bell

Explanation: Ans: A (Long thoracic nerve of Bell) Ref: Gray's Anatomy, 40th edition, pg.820 Explanation: Lateral cord Lateral pectoral C5, 6. 7 Museulocu taneous C5, 6. 7 Lateral root of median C(5), 6, 7 Medial cord (M4U) Medial pectoral C8. T1 Medial cutaneous of forearm C8. Tl Medial cutaneous of arm C8. T1 Ulnar C(7), 8. T1 Medial root of median C8, T1 Posterior cord (ULTAR) Upper subscapular C5, 6 Thoracodorsal C6, 7.8 Lower subscapular C5.6 Axillary C5, 6 Radial C5.6.7X (T1) Root Dorsal scapular nerve Long thoracic nerve of bell C5 C5,6,7 Trunk Nerve to subclavius Suprascapular nerve C5.6 C5,6